A 25 - year - old lady presented with curdy white discharge from vagina with itching over vulva, is likely to be suffering from:
1. Gonococcal vulvovaginitis
2. Candidiasis
3. Trichomoniasis
4. Chlamydia trachomatis

Correct answer: 2. Candidiasis

Explanation: Candidiasis Dimorphic fungi Blastospores(spread) Mycelia( invasive and adherent) Occur in acidic pH Curdy white discharge Plaques on vaginal wall -On removal- Petechiae Out of proportion Pruritis Rx: Azoles Oral Fluconazole Rx both female and male